Epithelial xerosis of the conjunctiva is caused by -
1. Trachoma
2. Diphtheria
3. Xerophthalmia
4. Pemphigus

Correct answer: 3. Xerophthalmia

Explanation: Ans. is 'c' i.e., Xerophthalmia Xerosis of conjunctiva o Xerosis of conjunctiva refers to a condition where the conjunctiva becomes dry and lusterless. Depending upon the etiology, conjunctival xerosis can be divided into two groups : - Parenchymatous xerosis : - It occurs following cicatricial disorganization of conjunctiva due to local causes which can be : - Trachoma Diphtheric membranous conjunctivitis Stevens - Johnson syndrome Pemphigus Thermal, chemical or radiational burn Lagophthalmos due to symblepharon. Epithelial xerosis: It occurs due to vitamin 'A'deficiency (Xerophthalmia).